Thyroid carcinoma associated with hypocalcaemia is-
1. Follicular carcinoma
2. Medullary carcinoma
3. Anaplastic carcinoma
4. Papillary carcinoma

Correct answer: 2. Medullary carcinoma

Explanation: Medullary carcinoma of thyroid arises from the parafollicular C cells of the thyroid. It secretes calcitonin, 5-HT, tachykinins, ACTH and prostaglandins. Hypercalcitoninemia lowers the serum calcium levels leading to hypocalcemia (rare). Reference : page 755 Davidson's Principles and practice of Medicine 22nd edition